The genetic ability of a bacterium to grow in the presence of several antibiotics is passed in vivo from one bacterium to another by:
1. Conjugation
2. Rarefaction
3. Transduction
4. Transformation

Correct answer: 1. Conjugation